In amyloidosis of tongue, the amyloid is deposited primarily in the
1. Stromal conncective tissue
2. Cells of the surface epithelium
3. Nuclei of the striated muscle cells
4. Cytoplasm of the striated muscle cells

Correct answer: 1. Stromal conncective tissue